Drug resistance in Staphylococcus aureus is most commonly acquired by -
1. Mutation
2. Transformation
3. Transduction
4. Conjugation

Correct answer: 3. Transduction

Explanation: Ans. is 'c' i.e., Transduction o Transduction is the most common method of transfer of resistance in Staphylococcus aureus.